Waldeyer's ring consists of all of the following except
1. Palatine tonsils
2. Pharyngeal tonsils
3. Tubal tonsils
4. Post. auricular nodes

Correct answer: 4. Post. auricular nodes

Explanation: In relation to the Naso - oropharyngeal isthmus, there are several aggregations of lymphoid tissue that constitute waldeyer' s lymphatic ring. the most important aggregations are the right and left palatine tonsils usually referred to simply as the tonsils. posteriorly and above there is the nasopharyngeal tonsil; laterally and above there are the tubal tonsils, and inferiorly there is the lingual tonsil over the posterior part of the dorsum of the tongue. Waldeyer's lymphatic ring Nasopharyngeal tonsil Tubal tonsil Intratonsillar cleft Palatine tonsil Lingual tonsil Ref BDC volume;3 Sixth edition